Poiseuille's law is
1. F = (PA – PB) πr4/8nL
2. F = (PA x PB) πr4/8nL
3. F = (PA + PB) πr4/8nL
4. F = (PA / PB) πr4/8nL

Correct answer: 1. F = (PA – PB) πr4/8nL